MTP Act was passed in the year:
1. 1971
2. 1991
3. 2001
4. 2002

Correct answer: 1. 1971

Explanation: Ans. 1971